Regarding bile duct injuries following cholecystectomy which of the following statement is false
1. The incidence following open cholecystectomy is in the range of 0.2 to 0.3%
2. The incidence rate following laparoscopic cholecystectomy is three times higher than the rates following open cholecystectomy
3. Untreated cases may develop secondary biliary cirrhosis
4. Routine use of 'open' technique of laparoscopic port insertion has resulted in a decline in the incidence of post laparoscopic cholecystectomy bile duct injuries

Correct answer: 4. Routine use of 'open' technique of laparoscopic port insertion has resulted in a decline in the incidence of post laparoscopic cholecystectomy bile duct injuries

Explanation: Pneumoperitoneum is created by use of Hasson's canula in open technique of laparoscopic port insertion Open technique has resulted in reduction of trocar induced vascular and bowel injuries, not incidence of post laparoscopic cholecystectomy bile duct injuries Open cholecystectomy is associated with reduced incidence of post laparoscopic cholecystectomy bile duct injuries as compared to Laparoscopic Cholecystectomy Ref: Sabiston 20th edition Pgno : 1498